A cardiovascular parameter helpful in diagnosis of anaphylaxis during anaesthesia:
1. Dysrhythmia
2. Bradycardia
3. Increased peripheral vascular resistance
4. Hypotension

Correct answer: 4. Hypotension

Explanation: Most important parameter during anaphylaxis which appears during anesthesia- Hypotension Management:- Stop medication- Give 100% O2- IV adrenaline